In T.B. a 'case' is:
1. Cough
2. Sputum positive
3. Mantoux positive
4. X-ray positive

Correct answer: 2. Sputum positive

Explanation: Sputum positive